Commonest site of Ivory osteoma is
1. Frontal-Ethmodial region
2. Mandible
3. Maxilla
4. Spheroid

Correct answer: 1. Frontal-Ethmodial region

Explanation: Osteoma: They are most commonly seen in the frontal sinus followed in turn by those of ethmoid and maxillary. They may remain asymptomatic, being discovered incidentally on X-rays. Ref: Textbook of ENT, Dhingra; 6th edition; Pg no: 205 ref img